Deep peroneal nerve doesn't supply -
1. Tibialis anterior
2. Extensor hallucis longus
3. Extensor digitorum longus
4. Peroneus brevis

Correct answer: 4. Peroneus brevis

Explanation: Muscles of anterior compartment of leg are supplied by deep peroneal nerve.
Muscles of lateral compartment of leg (Peroneus longus, peroneus brevis) are supplied by superficial peroneal nerve.